Common type of presenting part in cephalic presentation is:
1. Breech
2. Shoulder
3. Brow
4. Vertex

Correct answer: 4. Vertex

Explanation: Ans. D i.e. Vertex